Which of the following drugs is an inhibitor of cytochrome p450 enzymes?
1. Ketoconazole
2. Rifampicin
3. Phenytoin
4. Phenobarbitone

Correct answer: 1. Ketoconazole

Explanation: Ans. (A) Ketoconazole(Ref: KDT 8th/e p30)Ketoconazole is a powerful microsomal enzyme inhibitor whereas rifampicin, phenobarbitone and phenytoin are enzyme inducers.